Angiotensin-converting enzymes are
1. Zinc containing and cleaves C-terminal of AT-1
2. Zinc containing enzyme and cleaves the signal portion of AT-!
3. Copper containing and cleaves C-terminal of AT-!
4. Copper containing enzyme and cleaves the signal portion of AT-1

Correct answer: 1. Zinc containing and cleaves C-terminal of AT-1

Explanation: The structure of the somatic form of angiotensin-converting enzyme has short cytoplasmic tail of the molecule and the two extracellular catalytic sites, each of which binds a zinc ion (Zn2+). Angiotensin-converting enzyme (ACE) is a dipeptidyl carboxypeptidase that splits off histidyl-leucine(at C-terminal of AT1) from the physiologically inactive angiotensin I, forming the octapeptide angiotensin II. Ref: Ganong's Review of Medical Physiology, 23rd edition, page no: 670, 672 Ref of image: